Which Vitamin is involved in Redox reactions
1. Pyridoxin
2. Biotin
3. Folic acid
4. Riboflavin

Correct answer: 4. Riboflavin

Explanation: Ans. is 'd' i.e., Riboflavin